All the following statements about V. cholera 0139 are true, except:
1. Clinical manifestations are similar 01 Eltor strain
2. First discovered in Chennai
3. Epidemiologically indistinguishable from 01 Eltor strain
4. Produces 01 Lipopolysaccharide

Correct answer: 4. Produces 01 Lipopolysaccharide

Explanation: V.cholerae 0139 does not produce the 01 Lipopolysaccharide as it does not have all the genes that is necessary for the making of this antigen. Ref: Medical Microbiology By Jawetz, 23rd Edition, Page 270; Textbook of Microbiology By Ananthanarayan and Panicker, 7th Edition, Pages 305-316; Harrison's Principles of Internal Medicine, 17th Edition, Page 909, 910